The sensation produced by a wisp of cotton on one's fingertip is mediated by the:
1. Anterior corticospinal tract
2. Anterior spinocerebellar tract
3. Anterior spinothalamic tract.
4. Cuneocerebellar tract.

Correct answer: 3. Anterior spinothalamic tract.

Explanation: Anterior spinothalamic tract is concerned with light touch- sensation produced by stroking skin with a wisp of cotton.